All of the following tumors are malignant except:
1. Glioma
2. Astrocytoma
3. Hemangioblastoma
4. Ependymoma

Correct answer: 3. Hemangioblastoma

Explanation: Answer is C (Hemangioblastoma): Cerebellar hemangioblastoina is a benign neoplasm that occurs either sporadically or as part of Von Hippel - Lindau disease - Chandrasoma Taylor 2"d/933 Clinically presentation is with : - Cerebellar dysfunctionQ - HydrocephalusQ - Polycythemia (the tumor produces erythropoetin).Q